If division of fertilized egg occurs at 4-8th day what kind of monozygotic twin pregnancy will it give rise to-
1. Diamniotic dichorionic
2. Diamniotic monochorionic
3. Monoamnionic monochorionic
4. Conjoined twins

Correct answer: 2. Diamniotic monochorionic